Which of the following statement is not true about domperidone?
1. It rarely causes extrapyramidal side effects
2. It is a D2 receptor antagonist
3. Its antiemetic efficacy is higher than metoclopramide
4. It causes loose stool

Correct answer: 3. Its antiemetic efficacy is higher than metoclopramide

Explanation: Domperidone is an antiemetic which is classed under prokinetic drugs. It is a D2 antagonist; But it crosses blood brain barrier poorly - hence extrapyramidal side effects are rare, hyperprolactinemia can occur. Its antiemetic efficacy is LOWER than metoclopramide. Side effects are much less than with metoclopramide; dry mouth, loose stools, headache, rashes, galactorrhea, cardiac arrhythmias on rapid IV injection.Ref:KD Tripathi 8th ed.